Angiogenesis is a function of which of the following type of Fibroblast Growth Factor (FGF):
1. FGF 1
2. FGF 2
3. FGF 3
4. FGF 4

Correct answer: 2. FGF 2

Explanation: Fibroblast Growth Factor (FGF) contain more than 20 members. FGFs contribute to wound healing responses, hematopoiesis, angiogenesis, development, and other processes through several functions: Wound repair: FGF-2 and KGF (FGF-7) contribute to re-epithelialization of skin wounds. New blood vessel formation (angiogenesis): FGF-2, in particular, has the ability to induce new blood vessel formation (discussed later). Hematopoiesis: FGFs have been implicated in the differentiation of specific lineages of blood cells and development of bone marrow stroma. Development: FGFs play a role in skeletal and cardiac muscle development, lung maturation, and the specification of the liver from endodermal cells Ref: Robbins 8th edition, Chapter 3.